All of the following are used for gradation of coma in Glasgow coma scale except:
1. Eye opening ,
2. Motor response
3. Verbal response
4. Bladder function

Correct answer: 4. Bladder function

Explanation: bladder dysfunction